Treatment of middle ear papilloma is ?
1. Myringotomy and simple excision
2. Myringectomy and simple excision
3. Tympanomastoidectomy
4. Local infiltration with podophyllin

Correct answer: 3. Tympanomastoidectomy

Explanation: Ans. is 'c' i.e., Tympanomastoidectomy Middle ear pappilomas The middle ear papillomas are rare presentations and medical literature is mainly limited to case reports or case series. These include aggressive pappilary tumors, schneiderian type of pappilomas and inverted pappilomas. They are associated with hearing difficulty and vertigo and may be associated with Von Hippel Lindau syndrome. They tend to be slowly growing, locally aggressive non metastasizing neoplasms The approach for treatment of such pathology is usually radical and tympanomastoidectomy is considered the treatment of choice. This gives the best chance of cure.